Full thickness graft is indicated in
1. Deep burns
2. Burns over large areas
3. Fascial regions for cosmetic effect
4. Over the back

Correct answer: 3. Fascial regions for cosmetic effect

Explanation: (C) Fascial regions for cosmetic effect # Whole Thickness (Wolfe's) Skin Graft# Full-thickness skin graft is a free graft including the entire epidermis and dermis.> Disadvantages of these grafts include> Better blood supply for their survival> Limited area that can be covered> The need to surgically close the donor site> The poor resistance to infection, which generally precludes use of these grafts on contaminated wounds.> Full thickness skin is best taken from locations where the skin is thin such as postauricular area, supraclavicular are and eyelids or where skin is loose and redundant such as flexor creases of the elbow, buttock and groin.> A pressure dressing of the 'tie over' variety is advisable.> The dressing should not be removed before 7 to 10 days